Which is not true about cross sectional study?
1. Prevalence can be measured
2. Doesn't provide information about incidence
3. Less expensive
4. Useful for acute disease

Correct answer: 4. Useful for acute disease

Explanation: It is useful for chronic disease as incidence is not measured. Cross-sectional studies are descriptive studies (neither longitudinal nor experimental). Unlike case-control studies they can be used to describe, not only the Odds ratio, but also absolute risks and relative risks from prevalences. The use of routinely collected data allows large cross-sectional studies to be made at little or no expense. It doesn't provide information about incidence.